Retention of urine is a feature in which of the following
1. Subserosal leiomyoma
2. Interstitial leiomyoma
3. Submucosal leiomyoma
4. Anterior cervical leiomyoma

Correct answer: 4. Anterior cervical leiomyoma

Explanation: A cervical fibroid exerts pressure on the bladder ,ureter and rarely on the rectum depends on the position of the cervical fibroid. Cervical fibroid is a single fibroid encountered in 1% of all fibroids. It may develop as central,anterior,posterior or grow laterally in the broad ligament. Reference: Textbook of Shaw,15th edition,page 356